Passivating alloys are:
1. Cr, Al, Ti
2. Cr, Mo, Ti
3. Cr, Gold, Ti
4. Cr, Fe, Ti

Correct answer: 1. Cr, Al, Ti